Which of the following is not primarily used to anesthetize mucosa ?
1. Benzocaine
2. Lidocaine
3. Bupivacain
4. Tetracaine

Correct answer: 3. Bupivacain

Explanation: Ans. is 'c' i.e., Bupivacaine